A patient Seeta is diagnosed to be having iron deficiency anaemia. The agent that can be used to improve the absorption of iron is :
1. Antacids
2. Tetracyclines
3. Phosphates
4. Ascorbic acid

Correct answer: 4. Ascorbic acid